The primary reason for replacing teeth destroyed due
to nursing bottle syndrome is:
1. Speech and aesthetics
2. Form and function
3. Incising and mastication
4. Arch perimeter requirements in the transitional dentition

Correct answer: 1. Speech and aesthetics